Which is not a RBC membrane protein?
1. Ankyrin
2. Nebulin
3. Spectrin
4. Gycophorin

Correct answer: 2. Nebulin

Explanation: The protein skeleton consists of 2D mesh of spectrin tetramers and oligomers. It is attached to RBC membrane by attaching to ankyrin. Membrane proteins like glycophorin also present. Ref: Textbook of medical physiology by N Geetha, 3rd edition, page no. 77